A young lady presents to your office with compalin of copious vagina discharge, but there is strawberry vagina and no cervical discharge on per speculum examination. which of the following should be given for the management?
1. Metronidazole
2. Metronidazole and azithromycin
3. Metronidazole and doxycycline
4. Fluconazole only

Correct answer: 1. Metronidazole

Explanation: Metronidazole 200mg 3 doses /day for 7days. SHAW'S TEXTBOOK OF GYNECOLOGY.Pg no:146,15th edition